A 45-year-old man presents with long-standing heartburn and dyspepsia. An X-ray film of the chest shows a retrocardiac, gas-filled structure. This patient most likely has which of the following conditions?
1. Boerhaave syndrome
2. Esophageal varices
3. Esophageal webs
4. Hiatal hernia

Correct answer: 4. Hiatal hernia

Explanation: Hiatal hernia Separation of diaphragmatic crura & protrusion of stomach into thorax through resulting gap. Congenital hiatal hernias are recognized in infants and children, but many are acquired in later life. Symptoms when present resemble GERD Can cause LES incompetence.